Human developmental index includes all except:
1. Adult literacy rate
2. Per capita income
3. Life expectancy
4. Infant mortality rate

Correct answer: 4. Infant mortality rate

Explanation: PQL I ( physical quality of life index) HDI ( human development index) 1) Literacy rate 1) Literacy rate 2) Infant mortality rate 2) Income 3) Life expectancy at 1 year of age 3) life expectancy at birth. 4) 0<PQ LI < 100 4) 0< HDI < +1